Most common malignant bone tumor
1. Osteogenic sarcotoma
2. Secondaries
3. Osteoma
4. Enchondroma

Correct answer: 2. Secondaries

Explanation: Primary bone tumors are considerably less common than bone metastases from other primary sites; metastatic disease is discussed at the end of this section. Primary bone tumors exhibit great morphologic diversity and clinical behaviors--from benign to aggressively malignant. ref : Robbins Basic Pathology, 9E,page-774